In renal disease, Albumin is first to appear in urine because -
1. Of its high concentration in plasma
2. Has molecular weight slightly greater than the molecules normally getting filtered
3. High Albumin: Globulin ratio
4. Tubular epithelial cells are sensitive to albumin

Correct answer: 2. Has molecular weight slightly greater than the molecules normally getting filtered